The umbilical cord stump of a newborn most frequently sloughs off about the :
1. Second day after delivery
2. Fifth day after delivery
3. 10th day after delivery
4. 15th day after delivery

Correct answer: 3. 10th day after delivery

Explanation: 10th day after delivery